All are true about chickenpox except
1. Pleomorphic rashes seen
2. Centripetal in distribution
3. Crusts contain live virus
4. Rapid progression from macule to vesicle

Correct answer: 3. Crusts contain live virus